Delayed prolonged increase in vascular permeability in inflammation is due to:
1. Interleukin 1 mediated endothelial retraction
2. Increased transcytosis
3. Leakage from newly formed blood vessels
4. Release of histamine causing endothelial contraction

Correct answer: 1. Interleukin 1 mediated endothelial retraction